Proton pump inhibitors suppress gastric add secretion by inhibition of-
1. H+/Cl- ATPase pump
2. H+/ K+ ATPase pump
3. Na/Cl- ATPase pump
4. Na+/K+ ATPase pump

Correct answer: 2. H+/ K+ ATPase pump